Contents of broad ligaments are all except -
1. Round ligament
2. Fallopian tube
3. Lymph nodes
4. Ovaries

Correct answer: 4. Ovaries

Explanation: The content of Broad ligament
-        Uterine tube
-        Round ligament of the uterus
-        Uterine vessels
-        Ovarian vessels
-        Uterovaginal and ovarian nerve plexus
-        Epophoron and its duct (Gartner’s duct)
-        Paroophoron
-        Lymph nodes and lymph vessels
-        Connective tissue